Highly toxic insecticide, according to insecticides rules, are coded as-
1. Red
2. Green
3. Yellow
4. Blue

Correct answer: 3. Yellow

Explanation: Toxicity colour labels of pesticides In India Red label: Extremely toxic Zinc phosphide Yellow label : Highly toxic Endosulphan Blue Label : Moderately toxic Malathion Green label : Slightly toxic Mosquito repellants Ref: Insecticides Rules 1971, Central Insecticides Board, India